C terminal end of androgen receptor is concerned with:
1. Ligand binding
2. Increasing biological half life
3. Increasing the affinity of receptor to DNA
4. Increasing the level of transcription

Correct answer: 1. Ligand binding

Explanation: A i.e. Ligand bindingAndrogen receptor belongs to nuclear receptor super family. At carboxy (C) terminal of nuclear receptor, a multifunctional ligand binding domain (LBD=E domain) is locatedQ.